All of the following are the principles of primary health care except-
1. Social equity
2. Intersectoral coordination
3. Specialty services
4. Community participation

Correct answer: 3. Specialty services

Explanation: Ans. is 'c' i.e., Speciality, services